A 50 year old man with a history of smoking, hypertension, and chronic exertional angina develops several daily episodes of chest pain at rest compatible with cardiac ischemia. The patient is hospitalized. All the following would be part of an appropriate management plan EXCEPT:
1. Intravenous heparin
2. Aspirin
3. Intravenous nitroglycerin
4. Lidocaine by bolus infusion

Correct answer: 4. Lidocaine by bolus infusion

Explanation: Ans. is 'd' i.e Lidocaine by Bolus infusion The patient with H/O exertional angina developing chest pain at rest has most likely developed unstable angina.Management of unstable anginaRest, sedation, Precipitating conditions are removedI.V Heparin or low molecular weight heparinIntravenous infusion of platelet Gp IIb/IIIa inhibitorNitrates I. Vb blockersCalcium channel blockers